Which cell type(s) have action potentials in the retina of the human eye?
1. Bipolar cells and ganglion cells
2. Bipolar cells only
3. Bipolar cells, horizontal cells, and ganglion cells
4. Ganglion cells only

Correct answer: 4. Ganglion cells only

Explanation: Ganglion cells are the only cell type in the retina that have action potentials. The axons of ganglion cells comprise the optic nerve. Bipolar cells, cones, rods, horizontal cells, and other cell types in the retina signal information by electrotonic conduction, which allows a graded response proportional to light intensity Extra edge Order of neurons Cells 1st-order neurons Photoreceptors (Rods and cones) 2nd-order neurons Bipolar cells 3rd-order neurons Ganglion cells (Optic nerve) 4th-order neurons Axons from the LGB (optic radiation)